A 12-year-old boy presents with hematemesis, Malena and mild splenomegaly. There is no obvious jaundice or ascites. The most likely diagnosis is
1. NCPF
2. Cirrhosis
3. Malaria with DIC
4. EHPVO

Correct answer: 4. EHPVO

Explanation: Extra Hepatic Portal Venous Obstruction

5-6 years of age
hematemesis with or without melena
splenomegaly depends on duration of blockage
liver usually normal in size
ascites is rare
variable extent of growth retardation is seen